Supraventricular crest lies between -
1. Pulmonary orifice and atrioventricular orifice
2. Atrioventricular orifice and fossa ovalis
3. SVC and right atrium
4. Right an dleft coronary artery

Correct answer: 1. Pulmonary orifice and atrioventricular orifice

Explanation: Ans. is 'a' i.e., Pulmonary orifice and atrioventricular orifice(Ref: BDC 8/e Vol, I p. 253-258).Supraventricular crest (crista supraventriculars) or infundibulo-ventricular crest separates tricuspid (AV) orifice and pulmonary orifice, i.e. inlet and outlet parts.